What does Consultation-liaison (C-L) psychiatry involve?
1. Medical illness of psychiatric patients
2. Psychiatric illness in medically ill
3. Suicidal tendency in psychiatric patients
4. Suicidal tendency in medically ill

Correct answer: 2. Psychiatric illness in medically ill

Explanation: Ans. B. Psychiatric illness in medically illConsultation-liaison (C-L) psychiatry involves the study of psychological aspect of medical care and the detection and Rx of psychiatric disorders in the medically ill patients.